The Instestinal villi are swollen and distended. There is accumlation of large granular Macrophages, containing material which stains. Strongly with periodic acid Schiff, in the Lamina propria. The most probable condition is -
1. Secondaty steatorrhoe
2. Sprue
3. Coeliac disease
4. Whipple's disease

Correct answer: 4. Whipple's disease

Explanation: Ans. is 'd' i.e., Whipple's disease